Which of the following is a long acting β2 selective agonist ?
1. Formoterol
2. Isoprenaline
3. Salbutamol
4. Ephedrine

Correct answer: 1. Formoterol